The breeding ground for the vectors of Japanese
1. Paddy field
2. Mixed garbage
3. Cooler water
4. Startle food

Correct answer: 1. Paddy field